Most common cause of headache-
1. Tension headache
2. Migraine
3. Cluster headache
4. Trigemmal neuralgia

Correct answer: 1. Tension headache

Explanation: *Common cause of primary headache is tension headache(69%). *Migraine(16%)and cluster headache(0.1%) Ref Harrison20th edition pg 1234